A 40-yr-old male reported with recurrent episodes of oral ulcers, large areas of denuded skin and flaccid vesiculobullous eruptions. Which of the following would be the bedside investigation helpful in establishing the diagnosis?
1. Gram staining of the blister fluid
2. Culture and sensitivity
3. Skin biopsy and immunofluroscence
4. Tzank smear from the floor of bulla

Correct answer: 4. Tzank smear from the floor of bulla

Explanation: The given patient has pemphigus vulgaris. The Tzanck test/Tzanck Smear, is scraping of an ulcer base to look for Tzanck cells. It ia a simple test which can be done bedside in a patient of pemphigus. It shows numerous acantholytic keratinocytes. - rounded and more or less uniform in size, with a relatively large nuclear : cytoplasmic ratio with a perinuclear pale halo, with the peripheral part of the cell staining more darkly. Skin biopsy and immunofluroscence is more conclusive but is a laboratory test.